Study of multiplication of proteins in disease process is called
1. Proteomics
2. Genomics
3. Glycomics
4. Nucleomics

Correct answer: 1. Proteomics

Explanation: Genomics is the branch of molecular biology concerned with the structure, function, evolution, and mapping of genomes.Glycomics is the comprehensive study of glycomes (the entire complement of sugars, whether free or present in more complex molecules of an organism), including genetic, physiologic, pathologic, and other aspects